Which of the following seen in contact lens user
1. Vernal keratoconjunctivitis
2. Follicular conjunctivitis
3. Giant papillary conjunctivitis
4. Inclusion conjuntivits

Correct answer: 3. Giant papillary conjunctivitis

Explanation: Conjuctivitis AGENT Giant Papillary conjunctivitis Allergy to contact lens Epidemic Kerato conjunctivits Adenovirus Acute Hemorrhagic conjunctivitis(Apollo Dis) enterovirus 70 (Apollo virus) Angular Moraxella Trachoma - - chlamydia A,B,C Swimming pool conjunctivitis chlamydia D to K Phlyctenular Type IV HSN, Staph Ag Membranus - diphtheria Vernal keratoconjunctivitis allergic conjuctivitis Inclusion conjuntivits chlamydia